An infant develops cough and fever. Chest X-ray is suggestive of broncho-pneumonia. All of the following viruses can be the causative agents except:
1. Parainfluenza viruses
2. Influenza virus A
3. Respiratory syncytial virus
4. Mumps virus

Correct answer: 4. Mumps virus

Explanation: d. Mumps virus(Ref: Nelson's 20/e p 2088-2093, Ghai 8/e p 379-381)Viral causes of pneumonia in children:Of the respiratory viruses, respiratory syncytial virus (RSV) and rhinoviruses are the most common;Others include influenza virus, parainfluenza, adenoviruses, enteroviruses and human metapneumovirus.